Hypokalemia ECG changes -
1. Tall T wave
2. Short QRS interval
3. Depressed ST segment
4. Absent P wave

Correct answer: 3. Depressed ST segment

Explanation: Ans. is 'c' i.e., Depressed ST segment E.C.G. manifestations of electrolyte disordersHyperkalemiao A tall peaked and symmetrical T-waves is the first change seen on ECG in patients with hyperkalemia,o RR interval lengthens and QRS duration increases.o Flattening or disappearance of P wave.o ST elevation.o Widening of the ORS complexes due to a severe conduction delay and may become 'sine wave.The progresion and the severity ofthe E.C.G change do not correlate well with the serum potassium concentration.Hypokalemiao Similar to hyperkalemia, hypokalemia produce changes on the E.C.G which are not necessary related to serum potassium level.Depression of the ST segmentDecrease in amplitude ofT waves (inversion of the T waves)Increase in amplitude ofU wavesU and T wave merge in some cases to fortn a T-U wave which may be misdiagnosed as prolonged QTinterval.P wave can become larger and wider and PR interval prolong slightly.QRS duration may increase when hypokalemia becomes more severe.Hypocalcemiao Prolongation of the Q T intervalDue to prolongation of the phase 2 of the ventricular action potential and lengthening of the ST segment while the T wave (which correlate with time for repolarisation remains unaltered).Hypercalcemiao Shortening of the QT interval(Primarily due to a decrease in phase 2 of the ventricular action potential and resultant decrease in ST segment duration).Hypothermiao Causes slow impulse conduction through all cardial tissues resulting inProlongation of all the ECG intervalsRRPRQRSQTo There is also elevation of the J point " (Only if the ST segment is unaltered producing characteristics T or osborne wave).